In staging of Hodgkin's lymphoma, bilateral involvement
of lymph nodes on either side of diaphragm is
1. Stage-I
2. State-II
3. Stage-III
4. Stage-IV

Correct answer: 3. Stage-III